Type Ad curve is seen in-
1. Eustachian tube obstruction
2. After stapedectomy
3. Middle ear tumours
4. Secretory otitis media

Correct answer: 2. After stapedectomy

Explanation: Ans. is 'b' i.e., After stapedectomy Types of tvmpanograms on impedencc audiometryCURVEDISEASEA curve (Normal peak height and pressure)NormalEustachian tube obstructionAs curve (It is also a variant of normal tympanogram but may be shallow)Otosclerosis Tumors of middle earFixed malleus syndrome TympanosclerosisAD curve (Variant of normal with high peak)Ossicular discontinuityPost stapedectomyMonometric ear drumBcurve(Flat or dome shaped curve) Indicating lack of complianceFluid in middle earSecretory otitis mediaTympanic membrane perforationGrommet in earC curve(negative peak pressure)Retracted tympanic membraneFaulty function of eustachian tube/ eustachian tube obstruction